Histologically intense lymphocytic infiltration of the gland replacing the acinar structures, but preserving the lobular architecture seen in:
1. Mucoepidermoid carcinoma.
2. Epithelial- myoepithelial carcinoma.
3. Sjogren syndrome.
4. Myoepithelioma

Correct answer: 3. Sjogren syndrome.

Explanation: The three types of histologic alterations seen in Sjogren's syndrome are as follows: 

Intense lymphocytic infiltration of the gland replacing the acinar structures, but preserving the lobular architecture.
Proliferation of the ductal epithelium and myoepithelium to form epimyoepithelial islands
Atrophy of the glands sequential to the lymphocytic infiltration.